On routine examination, it is discovered that a 35-year-old woman had been exposed in-utero to Diethylstilbestrol (DES) administered to her mother, who had had a history of recurrent spontaneous abortion. This history suggests that the patient might be at increased risk of which of the following?
1. Adenomyosis
2. Clear cell adenocarcinoma
3. Lichen sclerosus
4. Squamous cell carcinoma

Correct answer: 2. Clear cell adenocarcinoma

Explanation: Diethylstilbestrol (DES) is the risk factor for clear cell adenocarcinoma of the vagina and cervix in young women with a history of in utero exposure to DES while their mothers were pregnant.